Posterior staphyloma is associated with?
1. Pathological myopia
2. Uveoscleritis
3. Pseudocornea
4. Angle closure glaucoma

Correct answer: 1. Pathological myopia

Explanation: ANSWER: (A) Pathological myopiaREF: Khurana 4th ed p. 132Staphyloma refers to localised bulging of weak and thin outer tunic of eyeball (cornea and sclera) lined by uveal tissue which shines through the thinned outer fibrous coatTYPES OF STAPHYLOMA:AnteriorEctasia of pseudocornea ( due to organisation of exudates and fibrous tissue covered by epithelium)Intercalary - It is the name given to the localised bulge in limbal area, lined by the root of the irisIt results due to ectasia of tveak scar tissue formed at the limbus, following healing of a perforating injury or a peripheral corneal ulcer. There may be associated secondary angle closure glaucomaCiliary - bulge of weak sclera lined by ciliary body which occurs about 2-3 mm away from the limbus.Its common causes are thinning of sclera following perforating injury, sderitis & absolute glaucoma.Equatorial -On the equator of the eye (region circumferencing the largest diameter orthogonal to the visual axis).Its causes are sderitis & degeneration of sclera in pathological myopia. It occurs more commonly in the regions of sclera which are perforated by vortex veins.Posterior - In the posterior segment of the eye, typically diagnosed at the region of the macula, deforming the eye in a way that the eye-length is extendedPathological myopia , perforating injuries , posterior sderitis